Gene for Wilson's disease is located on chromonsome -
1. 7
2. 10
3. 13
4. 17

Correct answer: 3. 13

Explanation: Ans. is 'c' i.e., 13o The ATP 7 B gene is located on chromosome 13, which is responsible for Wilson's disease.